Which of the following carries post ganglionic fibers
1. Vagus nerve
2. Greater petrosal nerve
3. Chordatympani
4. Auriculo temporal nerve

Correct answer: 4. Auriculo temporal nerve

Explanation: Auriculo temporal nerve carries post ganglionic fibres to parotid gland from otic ganglion . CHOICE EXPLANATION & ELIMINATION REASON 1. Vagus nerve Preganglionic fibre 2. Greater petrosal nerve Preganglionic fibre 3. Chorda tympani nerve Preganglionic fibre 4. Auriculotemporal nerve Post ganglionic fibres